HIV virus has:
1. Single stranded DNA
2. Single stranded RNA
3. Double stranded DNA
4. Double stranded RNA

Correct answer: 2. Single stranded RNA

Explanation: Ans. (b) Single stranded RNA Classification of HIV (= HTLV III) Family - Retroviridae Subfamily - Lenti virus Genome - ss RNA positive sense. Viron contain lipoprotein envelope and nucleocapsid is icosahedral in shape. Characteristic feature of retrovirus is presence of reverse transcriptase enzyme. Viral RNA is transcribed by this enzyme first in to ss DNA then to dsDNA which gets integrated with host cell. Thus in contrast to central dogma flow of information is RNA --> DNA --> RNA